Laryngoscopes are sterilized by ?
1. Glutaraldehyde
2. Formalin
3. Betadine
4. Boiling

Correct answer: 1. Glutaraldehyde

Explanation: Ans. is 'a' i.e., Glutaraldehyde Laryngoscope should be cleaned before and after use with spirit. Disinfection can be done once a day by removing the bulb and immersing the blade in 2% cidex (glutaraldehyde) for 10 minutes. They should be sterilized once a week by immersing in cidex for 10 hours or by autoclaving.